Strongest attachment of Zonule is at-
1. Equator
2. Just anterior to equator
3. Posterior to equator
4. Posterior lobe

Correct answer: 2. Just anterior to equator

Explanation: Anterior fibers of zonules are strongest and are inserted into the lens capsule just anterior to the equator. Ref: Textbook of clinical ophthalmology p.1139.